Primitive streak is derived from:
1. Epiblast
2. Hypoblast
3. Chorion
4. Trophoblast

Correct answer: 1. Epiblast

Explanation: Ans. A. EpiblastIt is a linear thickened band of cells at the caudal end of embryo in the midline. It is formed due to proliferation and migration of cells of epiblast cells on the superior surface of embryonic disc in the midline. The cells forming primitive streak are pluripotent, i.e., they have the ability to transform into any type of cells.